Which antitubercular drug is bacteriostatic ?
1. INH
2. Pyrazinamide
3. Rifampicin
4. Ethambutol

Correct answer: 4. Ethambutol